Emporiatrics deals with the health of -
1. Farmers
2. Travellers
3. Industrial workers
4. Mine workers

Correct answer: 2. Travellers

Explanation: Ans. is 'b' i.e., Travellers Emporiatrics, also called travel medicine, is the branch of medicine that deals with the prevention and management of health problems of international travelers.